In case of chest pain with pericarditis and pericardial effusion, pain is refered by?
1. Phrenic nerve
2. Vagus nerve
3. Trigeminal nerve
4. None

Correct answer: 1. Phrenic nerve

Explanation: Ans. (a) Phrenic nerveRef: Cunningham's textbook of anatomy by Daniel john Cunningham p 699, 700, Gray's anatomy 39/e, p 996